Wilm's tumour commonly presents as
1. Pain in the abdomen
2. Abdominal mass
3. Fever
4. Hematuria

Correct answer: 2. Abdominal mass

Explanation: (Abdominal mass): Ref: 574-G (592-Ghai 7th)WILM'S TUMOR or nephroblastoma is the most common malignant tumour of the kidney* 80% of children under the 5 years (mean age 3years/* Congenital anomalies particularly -- Aniridia- Hemihypertrophy- Beckweith - Wiedmann syndrome- Intellectual disability* Deletion in the region of 11 p 13Clinical Presentation* Most of the patients presents with a asymptomatic abdominal mass* Hematuria (10- 25%) Hypertension (about 25%)* Other frequent symptoms - abdominal pain (30%) fever (20%) anorexia and vomiting* Ultrasound scanning is the most important investigation